Abandoning a child is punishable under which section of IPC ?
1. 320
2. 317
3. 323
4. 84

Correct answer: 2. 317

Explanation: Ans. is 'b' i.e., 317 317 IPC: Abandoning a child (7 years imprisonment +- fine)Offences related to abortion and child birth* 312,313, 314 and 315IPC: For causing voluntary miscarriage (criminal abortion).# 312 IPC: Causing miscarriage with consent (3 years of imprisonment +- fine).# 313 IPC : Causing miscarriage without consent of lady (10 years of imprisonment which can extend up to life +- fine).# 314 IPC: Death of patient caused by miscarriage (10 years of imprisonment +- fine).# 315 IPC: Death of child during miscarriage (10 years imprisonment +- fine).* 316 IPC: Death of quick unborn child by act amouting to culpable homicide (10 years imprisonment + fine).* 317 IPC: Abandoning a child (7 years imprisonment +- fine).* 318 IPC: Concealment of birth by secret disposal of dead body (2 years imprisonment +- fine).Other options* Kidnapping & abduction - IPC 361-369* Voluntary causing grievous hurt - IPC 322* Attention & abetment to suicide- IPC 306